Which of the following is true for staphylococcus aureus food poisoning:
1. Incubation period of over 20 hours
2. Immediate antibiotic therapy is required
3. Heat labile enterotoxin is responsible
4. Common with dairy products

Correct answer: 4. Common with dairy products

Explanation: Ans. D: Common with dairy products Staphylococcus aureus is found in dust, air, and sewage. The bacteria are spread primarily by food handlers using poor sanitary practices. Almost any food can be contaminated, but salad dressings, milk products, cream pastries, and any food kept at room temperature, rather than hot or cold, are likely candidates.